The deficiency of coagulation factor IX is associated with:
1. Haemophilia A
2. Haemophilia B
3. Henoch-schonlein purpura
4. Sickle cell anaemia

Correct answer: 2. Haemophilia B

Explanation: Genetic conditions dealt with by clinicians in other specialties: